All of the following agents are used for prophylaxis of migraine, Except -
1. Propanalol
2. Valproate
3. Topiramate
4. Ethosuxamide

Correct answer: 4. Ethosuxamide

Explanation: Ans. is 'd' i.e., Ethosuxamide Propanolol is the most commonly used drug for migraine prophylaxis. Anticonvulsants used for migraine prophylaxis are valproate, Gabapentine and topiramate (not ethosuxamide).